All the following are examples of health promotion except:
1. Stop smoking
2. Installation of sanitary latrine
3. Chemoprophylaxis
4. Decreased salt intake

Correct answer: 3. Chemoprophylaxis

Explanation: Ans: C (Chemoprophylaxis) Ref: Textbook of Preventive and Social Medicine, K Park, 22nd edition, page no 40-1Explanation:Health promotion is simply promoting health, i.e. actions done to improve the level of general health and well being, so that disease initiation process is prevented.These actions are not specific for any disease of group of diseases.E.g. encourage for healthy lifestyle changes, breastfeeding, balanced nutrition, small family norm, improvement of scio-economic status and clean environment) (See table below)Chemoprophylaxis is Specific Protection measure (e.g. immunization, Occupational and automobile safety measures)